In the Rx of hydatid cyst, PAIR is contraindicated in :
1. Lung cyst
2. Size > 5 cm
3. Not ammenable to Rx with albendazole
4. Multiple

Correct answer: 1. Lung cyst

Explanation: Ans. is 'a' i.e. lung cyst The PAIR technique can be performed on liver, bone, and kidney cysts but should not be performed on lung and brain cysts. The cysts should be larger than 5 cm in diameter and type I or II according to the Gharbi ultrasound classification of liver cysts. PAIR can be performed on type III cysts as long as it is not a honeycomb cyst. Contraindications: Early pregnancy Cysts in lung, spine, brain & heart. Inaccessible cysts or cysts in risky location superficially located cysts (risk of spillage) Inactive or calcified lesions (type IV & type V according to Gharbi classification) Cysts communicating with the biliary tree (risk of sclerosing cholangitis from the scolecoidal agent) Cysts communicating with abdominal cavity, bronchi or urinary tract